A 14-year-old male developed vomiting and diarrhea in 2 h after having food from a restaurant. The most likely pathogen is:
1. Clostridium perfringens
2. Vibrio parahaemolyticus
3. Staphylococcus aureus
4. Salmonella typhimurium

Correct answer: 3. Staphylococcus aureus

Explanation: Ans. Staphylococcus aureus